Risk of transplacental transmission of toxoplasma gondii is maximum when mother is infected:
1. Prior to conception
2. During first trimester
3. During second trimester
4. During third trimester

Correct answer: 4. During third trimester

Explanation: Risk of fetal infection in acute maternal toxoplasmosis increases with each trimester of pregnancy being 15%, 25% and 60% in 1st, 2nd and 3rd trimesters respectively But severity of fetal infection is much greater in early pregnancy.